A 10 year old boy presenting with cubitus a varus deformity and a history of trauma 3 months back on clinical examination, has preserved 3 bony point relationship of the elbow. The most probable diagnosis is?
1. Old unreduced dislocation of elbow
2. Non- union lateral condylar fracture of humerus
3. Malunited intercondylar fracture of humerus
4. Malunited supracondylar fracture of humerus

Correct answer: 4. Malunited supracondylar fracture of humerus

Explanation: Cubitus varus deformity and preservation of three point bony relation favours the diagnosis of malunited fracture supracondylar humerus. Ref: Tachdjian's Pediatric Orthopedics 3/e, Page 2130-75, 2060.